Veins are an example of
1. Conducting vessels
2. Distributing vessels
3. Resistance vessels
4. Capacitance vessels

Correct answer: 4. Capacitance vessels

Explanation: the veins are examples of capacitance vessels